Stage T1NOMO in breast cancer indicates-
1. Tumor more than 2 ems in diameter without axillary nodes and absent metastasis
2. Tumour 2 cms or less without axillary nodes and no metastasis
3. Tumour fixed to the chest wall without axillary nodes or distant metastasis
4. Tumour fixed to the underlying muscle with no nodes in axilla but wth distant metastasis

Correct answer: 2. Tumour 2 cms or less without axillary nodes and no metastasis

Explanation: Ans. is 'b' i.e. Tumour 2 cms or less without axillary nodes and no metastasis